Which of the following is false regarding coronary circulation ?
1. Anterior 2/3 of septum is supplied by LCA
2. Posterior 1/3 of septum is supplied by RCA
3. Right bundle branch is supplied by RCA
4. Left bundle branch is supplied by LCA

Correct answer: 3. Right bundle branch is supplied by RCA

Explanation: Right coronary artery supplies (i) SA node (in 65%), (ii) whole conducting system (AV bundle, bundle of his, part of left bundle branch) except RBB and part of left branch of AV bundle, (iii) posterior part of ventricular septum, (iv) most of right ventricle except small part adjoining anterior interventricular groove and small part of left ventricle adjoining posterior interventricular groove.Left coronary artery supplies (i) most of the left atrium, (ii) most of the left ventricle including apex, (iii) small part of right ventricle odjoining anterior interventricular septum, (iv) anterior 2/3 of ventricular septum, (v) RBB, LBB and (vi) SA node in 35% of cases.